Menstruation is defined as precocious if it starts before the child reaches the age of :
1. 8 years
2. 10 years
3. 14 years
4. 20 years

Correct answer: 2. 10 years

Explanation: Ans. is b i.e. 10 years